In SLE, true are -a) Autoimmune hemolytic anaemiab) Joint deformityc) ↑ed ANAd) Anti-ds DNAe) Raynaud's phenomena
1. acde
2. bde
3. abcd
4. abde

Correct answer: 1. acde